Vaginal sphincter is formed by all except
1. Internal urethral sphincter
2. External urethral sphincter
3. Pubovaginalis
4. Bulbospongiosus

Correct answer: 1. Internal urethral sphincter

Explanation: Lower genital tract contraction can be carried out by external urethral sphinter, pubo-vaginalis and bulbospongiosus. Females doesnot have internal urethral sphincter.It is anatomical bladder neck sphincter present in males. Ref - BDC 6e vol2 pg379